Bett's classification deals with -
1. Ocular trauma
2. Ocular foreign body
3. Squint
4. Maculopathy

Correct answer: 1. Ocular trauma

Explanation: Ans. is 'a' i.e.. Ocular trauma BETTS (Birmingham Eve Trauma Classification System)o Ocular trauma classification group has organized eye injuries using standard technology to describe various forms of ocular injury. This is called BETTS - Birmingham Eye Trauma Classification System.Birmingham Eye Trauma Terminology System (BETTS): glossary of terms (6,7,8)TermDefinition and explanationEye wallSclera and cornea : Though technically the eye v/all has three coat posterior to the limbus, for clinical and practical purposes violation of only the most external strucuture is taken into consideration.Closed globe injuryNo full-thickness wound of eye wall.Open globe injuryFull-thickness wound of the eye wall.ContusionThere is no (full-thickness) wound : The injury is either due to direct energy- del ivery by the object (e.g., choroidal rupture) or to the changes in the shape of the globe (e.g.t angle recession).Lamellar lacerationPartiai-thickenss wound of the eye wall.RuptureFull-thickness wound of the eye wall, caused by a blunt object: Since the eye is filled with incompressible liquid, the impact results in momentary increase of the 10P. The eye wall yields at its weakest point (at the impact site or elsewhere; example : an old cataract wound dehisces even though the impact occured elsewhere); the actual wound is produced by an inside-out mechanism.LacerationFull-thickness wound of the eye wall, caused by a sharp object : The wound occurs at the impact site by an outside-in mechanism.Penetrating injuryEntrance wound : If more than one wound is present, each must have been caused by a different agent.Retained or intraocular foreign bodyTechnically a penetrating injury, but grouped separately because of different clinical implications.Perforating injuryEntrance and exit wounds : Both wounds caused by the same agent.